A third degree cirumferential burn in the arm and forearm region, which of the following is most important for monitoring -
1. Blood gases
2. Carboxy-oxygen level
3. Macroglobiunria cryoglobinuria
4. Peripheral pulse and circulation

Correct answer: 4. Peripheral pulse and circulation